On chest radiology, "egg-shell calcification" is seen in:
1. Asbestosis
2. Silicosis
3. Coal-worker pneumoconiosis
4. Berylliosis

Correct answer: 2. Silicosis

Explanation: Silicosis/Grinder's disease/Sand blasting disease : Most common pneumoconiosis Due to inhalation of quartz crystals (SiO2) Nodules seen in hilar lympho nodes and upper lobes of lung Increased risk of TB / malignancy CXR - Egg shell calcification (calcification on hilar LN) Histologic examination reveals the hallmark lesion characterized by a central area of whorled collagen fibers with a more peripheral zone of dust-laden macrophages.